Resin modified glass ionomer is designed to:
1. Provide rapid setting to minimize cement acidity allowing early finishing
2. Reduce the rate of fluoride release
3. Reduce the cost of the product
4. Change the translucency of the products

Correct answer: 1. Provide rapid setting to minimize cement acidity allowing early finishing